Dracunculosis infection occurs through-
1. Ingestion of water containing cyclops
2. Ingestion of water containing the parasite
3. Ingestion of fish
4. Penetration of skin

Correct answer: 1. Ingestion of water containing cyclops